Bacterial communication with each other in a biofilm is known as
1. Corncob formations
2. Coaggregation
3. Quorum sensing
4. Translocation

Correct answer: 3. Quorum sensing